Opsonins are -
1. C3a
2. C3b
3. C5a
4. C5-C9

Correct answer: 2. C3b

Explanation: - the process of phagocytosis is further enhanced when micro organisms are coated with specific proteins, opsonins from the serum. - opsonins establish a bond between bacteria and bacteria and the membrane of the phagocytic cell. - C3b is opsonin generated by activation of complement pathway. Reference : Harsh mohan text book of pathology, 7th edition, pg no:121